Aerosolized ribavirin is used in the treatment of bronchiolitis with –
1. RSV
2. H.influenza
3. Pneumococcus
4. Streptococcus

Correct answer: 1. RSV